All of the following are indirect radiologic signs of collapse of lung EXCEPT-
1. Mediastinal displacement
2. Hilar displacement
3. Rib Crowding
4. Obscured Contralateral hemidiaphragm

Correct answer: 4. Obscured Contralateral hemidiaphragm

Explanation: Ans- D. Obscured Contralateral hemidiaphragm Correct statement- Obscured ipsilateral hemidiaphragm